The liver biopsy in acute hepatitis due to hepatitis ? virus is likely to show all of the following, EXCEPT:
1. Ballooning change of hepatocytes
2. Ground glass hepatocytes
3. Focal or spotty necrosis
4. Acidophil bodies

Correct answer: 2. Ground glass hepatocytes

Explanation: . Ground glass hepatocytes